Major androgen precursor from adrenal cortex is
1. Testosterone
2. Dihydrotestosterone
3. DHEA
4. Androstenedione

Correct answer: 3. DHEA

Explanation: DHEA( dehydroepiandrosterone) is an androgenic steroid hormone secreted largely by the adrenal cortex and found in human urine.(DHEA), Asteroid secreted chiefly by the adrenal cortex, but also by the testis; it is the principal precursor of urinary 17-ketosteroids. Weakly androgenic itself, it is metabolized to d-5 androstenediol, a hormone with both androgenic and estrogenic effects, and is one of the precursors of testosterone. Serum levels are elevated in adrenal virilism. It may function as a neurotransmitter.Dihydrotestosterone an androgenic hormone formed in peripheral tissue from testosterone; thought to be the androgen responsible for development of the male primary sex characters during embryogenesis and of male secondary sex characters at puberty, and for adult male sexual function.Testosterone the principal male sex hormone (androgen) that is produced by Leydig's cells of the testes in response to luteinizing hormone secreted by the pituitary gland. Androstenedione an androgenic steroid produced by the testis, adrenal cortex, and ovary; converted metabolically to testosterone and other androgens.Ref: Ganong's review of medical physiology;24th edition; page no-423